Quadrilateral cartilage is attached to all the following bony structures, EXCEPT:
1. Ethmoid
2. Vomer
3. Sphenoid
4. Maxilla

Correct answer: 3. Sphenoid

Explanation: Cartilaginous part of nasal septum is formed by a quadrilateral cartilage. It is attached to the perpendicular plate of the ethmoid bone posterosuperiorly, to the anterior border of vomer posteriorly and to the internasal crest superiorly and to the nasal crest of the maxilla and anterior nasal spine inferiorly.